In "Maple Syrup disease", the amino acids excreted in urine are:
1. Valine, Leucine, Isoleucine
2. Phenylalanine, Leucine, Isoleucine
3. Tyrosine, Leucine, Isoleucine
4. Histidine, Leucine, Valine

Correct answer: 1. Valine, Leucine, Isoleucine

Explanation: Valine, Leucine, Isoleucine